When pulp cannot be extirpated in narrow canals, which of the following can be used
1. Obtundant
2. Astringent
3. Haemostatic
4. Mummifying agent

Correct answer: 4. Mummifying agent